Drugs having narrow theraputic index are:
1. Lithium
2. Phenytoin
3. Tricyclic antidepressants
4. All of these

Correct answer: 4. All of these